Commonest cancer in burn scar is
1. Squamous cell carcinoma
2. Fibrosarcoma
3. Adenocarcinoma
4. Adenosquamous carcinoma

Correct answer: 1. Squamous cell carcinoma

Explanation: The commonest cancer associated with burns is squamous cell carcinoma. This is also known as marjolin's ulcer and this malignancy start from the scar tissue of burns. Treatment is wide local excision, in case of large ulcer, amputation is required. Reference : SRB's Manual of Surgery, 6th Edition, page no = 283.